A 15% solution of EDTA has a pH of:
1. 5.5
2. 7.3
3. 7.9
4. 7

Correct answer: 2. 7.3